The interdental and interradicular septa contain perforating canals of:
1. Alock's.
2. Zuckerkandl and Hirschfeld.
3. Dorello's.
4. Gartner's.

Correct answer: 2. Zuckerkandl and Hirschfeld.

Explanation: The alveolar bone proper, wild forms the inner wall of the socket is perforated by many openings that carry branches of the interalveolar nerves and blood vessels into the periodontal ligament, and it is therefore called the cribriform plate . Bone between the teeth is called interdental septum and is composed entirely of cribriform plate. The interdental and interradicular septa contain the perforating canals of Zuckerkandl and Hirschfeld (nutrient canals) which house the interdental and interradicular arteries, veins, lymph vessels and nerves.